Drug of choice for MRSA skin infection is
1. Streptogramin
2. Vancomycin
3. Quinupristin
4. Linezolid

Correct answer: 2. Vancomycin

Explanation: (B) Vancomycin # Drugs used in the treatment of MRSA: Vancomycin, Linezolid, Teicoplanin, Cotrimoxazole, Oxacillin, RifampicinTREATMENT OF COMMON INFECTIONS OF THE SKINDiagnosis/ConditionPrimary TreatmentAlternative TreatmentAnimal bite (prophylaxis or early infection)Amoxicillin/clavulanate, 875/125 mg PO bidDoxycycline, 100 mg PO bidAnimal bitea (established infection)Ampicillin/sulbactam, 1.5-3.0 g IV q6hClindamycin, 600-900 mg IV q8h plusCiprofloxacin, 400 mg IV q12horCefoxitin, 2 g IV q6hBacillary angiomatosisErythromycin, 500 mg PO qidDoxycycline, 100 mg PO bidHerpes simplex (primary genital)Acyclovir, 400 mg PO tid for 10 daysFamciclovir, 250 mg PO tid for 5-10 daysorValacyclovir, 1000 mg PO bid for 10 daysHerpes zoster (immunocompetentAcyclovir, 800 mg PO 5 times daily forFamciclovir, 500 mg PO tid for 7-10 dayshost >50 years of age)7-10 daysorValacyclovir, 1000 mg PO tid for 7 daysCellulitis (staphylococcal or streptococcalb.c)Nafcillin or oxacillin, 2 g IV q4-6hCefazolin, 1-2 g q8horAmpicillin/sulbactam, 1.5-3.0 g IV q6horErythromycin, 0.5-1.0 g IV q6horClindamycin, 600-900 mg IV q8hMRSA skin infectionVancomycin, 1 g IV q12hLinezolid, 600 mg IV q12hNecrotizing fasciitis (group A streptococcalb)Clindamycin, 600-900 mg IV q6-8hplusPenicillin G, 4 million units IV q4hClindamycin, 600-900 mg IV q6-8hplusCephalosporin (first- or second-generation)Necrotizing fasciitis (mixed aerobes and anaerobes)Ampicillin, 2 g IV q4hplusClindamycin, 600-900 mg IV q6-8hplusCiprofloxacin, 400 mg IV q6-8hVancomycin, 1 g IV q6hplusMetronidazole, 500 mg IV q6hplusCiprofloxacin, 400 mg IV q6-8hGas gangreneClindamycin, 600-900 mg IV q6-8hplusPenicillin G, 4 million units IV q4-6hClindamycin, 600-900 mg IV q6-8hplusCefoxitin, 2 g IV q6h